Most common bronchogenic carcinoma is
1. Small cell carcinoma
2. Squamous cell carcinoma
3. Mixed cell carcinoma
4. Adenocarcinoma

Correct answer: 4. Adenocarcinoma